Kiesselbach's plexus is formed by septal branches all except?
1. Posterior ethmoidal artery
2. Sphenopalatine artery
3. Anterior ethmoidal artery
4. Greater palatine artery

Correct answer: 1. Posterior ethmoidal artery

Explanation: Ans. A. Posterior ethmoidal arteryKiesselbach's plexus, which lies in Little's area, is a region in the anteroinferior part of the nasal septum where four arteries anastomose to form a vascular plexus. The arteries are:a. Anterior ethmoidal artery (branch of the ophthalmic artery)b. Sphenopalatine artery (terminal branch of the maxillary artery)c. Greater palatine artery (from the maxillary artery)d. Septal branch of the superior labial artery (from the facial artery)